Collagen 7 is present in which layer of Basement membrane zone
1. Hemi-desmosomes
2. Salt split layer
3. Lamina Densa
4. Sublamina Densa

Correct answer: 4. Sublamina Densa

Explanation: SUBLAMINA DENSA * Contains anchoring fibrils, anchoring plaques, elastic microfibrils (without elastin), and linkin . Anchoring Fibril :- * Primary constituent is type VII collagen; appears larger than anchoring filaments and emanates perpendicularly down from lamina densa into papillary dermis. * Connects lamina densa to anchoring plaques (type IV collagen) in dermal matrix . * Intercalation with banded collagen fibrils of papillary dermis: forms fan-shaped clumps. Ref:- Sima Jain; pg num:- 8